Kernohan notch phenomenon is not associated with-
1. Paralysis contralateral to side of lesion
2. false localising sign
3. Contralateral crus cerebrii compressed by tentorium cerebelli
4. associated transtentorial herniation due to supratentorial mass/lesion

Correct answer: 1. Paralysis contralateral to side of lesion

Explanation: Kernohan phenomenon': Also been referred to as 'Kernohan-Woltman notch phenomenon' and is a false localizing sign, causing paralysis to the ipsilateral side of the lesion occuring due to supratentorial lesion causing transtentorial herniation (mainly uncal -green arrow)causing compression of brainstem and indentation of contralateral crus cerebri against the tentorium cerebelli.